Patients with Classic Von Willebrands disease have:
1. A decreased bleeding time, prolonged APTT
2. A prolonged bleeding time, decreased APTT
3. A decreased bleeding time, decreasedAPTT
4. A prolonged bleeding time, prolonged APTT

Correct answer: 4. A prolonged bleeding time, prolonged APTT

Explanation: A prolonged bleeding time, prolonged APTT